Cystosarcoma phylloides is tumor of
1. Breast
2. Liver
3. Colon
4. Uterus

Correct answer: 1. Breast

Explanation: Ans. a (Breast). (Ref. Baily & Love, Surgery, 22nd/pg.552)CYSTOSARCOMA PHYLLOIDES# is benign tumor of the breast.# It presents as a huge mass in breast.# Its histological pattern is variegated.# Its a misnomer as its relatively benign, but potentially malignant tumor.